Artery which does not supply Medulla is
1. Anterior spinal
2. Posterior spinal
3. Superior cerebellar
4. Posterior inferior cerebellar

Correct answer: 3. Superior cerebellar

Explanation: Medulla supplied byAnterior spinalPosterior spinalPosterior inferior cerebellar Direct medullary branches of vertebral and basilar